Drug of choice for controlling severe pain in cancer patient is:
1. Morphine
2. Diclofenac
3. Ibuprofen
4. Codiene

Correct answer: 1. Morphine

Explanation: Ref: Katzung 10/e p449 Opioids like morphine can be used to treat severe pain associated with terminal cancers.